Best treatment for enuresis is -
1. Oxybutinin
2. Desmopressin
3. Bed alarm
4. Imipramine

Correct answer: 3. Bed alarm

Explanation: Ans. is 'c' i.e., Bed alarm